The calculated oxygen concentration in the blood is 0.0025 ml/ml of blood. Considering an atmospheric pressure as 760mmHg, how much would be the approximate oxygen tension in the blood?
1. 40mmHg
2. 60mmHg
3. 80mmHg
4. 100mmHg

Correct answer: 3. 80mmHg

Explanation: Oxygen tension in the blood (PO2) can be detected using Henry's law. According to Henry's law oxygen dissolved in the blood is proportional to PaO2. Ref: Quantitative Human Physiology: An Introduction, By Joseph Feher, Page 582 ; Review of Medical Physiology, Ganong 21st Edition, Page 670.